A 40 years old female presents with a 2 years history of erythematous papulopustular lesions on the convexities of face. There is background of erythema and telangiectasia. The most probable diagnosis would be?
1. Acne vulgaris
2. Rosacea
3. SLE
4. Polymorphic light eruptions

Correct answer: 2. Rosacea

Explanation: The patient in is presenting with characteristic feature that define rosacea.